Hypertranslucency of lung unilaterally is seen on all except :
1. Pneumothorax
2. Resection of mammary gland
3. Pulm a. obstruction
4. Pneumonectomy

Correct answer: 4. Pneumonectomy

Explanation: D i.e. Pneumonectomy Pulmonary agenesisQ & PneumonectomyQ are the causes of radiopaque lung with I/L mediastinal shiftQ. Pulmonary artery obstruction (i.e. Pulmonary embolism) l/t radiolucent lungQ.